A patient with angle closure glaucoma is posted for laser iridotomy. Which of the following laser is used for iridotomy?
1. Nd-Yag laser
2. Argon
3. Helium-Neon
4. Krypton

Correct answer: 1. Nd-Yag laser

Explanation: Pupillary block in angle-closure glaucoma is most satisfactorily overcome by forming a direct communication between the anterior and posterior chambers that removes the pressure difference between them. Laser peripheral iridotomy is best done with the neodymium: YAG laser, although the argon laser may be necessary in dark irides. Surgical peripheral iridectomy is performed if YAG laser iridotomy is ineffective. YAG laser iridotomy is preventive when used in patients with narrow angles before closure attacks occur. Ref: Salmon J.F. (2011). Chapter 11. Glaucoma. In P. Riordan-Eva, E.T. Cunningham, Jr. (Eds), Vaughan & Asbury's General Ophthalmology, 18e.